Joint erosion not a feature in ?
1. SLE
2. Gout
3. Rheumatoid arthritis
4. Psoriasis

Correct answer: 1. SLE

Explanation: Ans. is 'a' i.e., SLE Most people with SLE have intermittent polyarthritis, varying from mild to disabling, characterized by soft tissue swelling and tenderness in joints, most commonly in hands, wrists, and knees. Joint deformities (hands and feet) develop in only 10% of patients. Erosions on joint x-rays are rare; their presence suggests a non-lupus inflammatory arthropathy such as rheumatoid arthritis.